True about fibrolamellar carcinoma of the liver:
1. Good prognosis than hepatocellular carcinoma
2. Common in old age
3. Associated with cirrhosis
4. Associated with hepatitis B infection

Correct answer: 1. Good prognosis than hepatocellular carcinoma

Explanation: “A distinctive variant of hepatocellular carcinoma is the fibrolamellar carcinoma, constituting less than 5% of HCCs. This tumor occurs in young male and female adults (20 to 40 years of age) with equal incidence, has no association with HBV or cirrhosis risk factors, and often has a better prognosis
It usually presents as single large, hard "scirrhous” tumor with fibrous bands coursing through it. On microscopic examination, it is composed of well-differentiated polygonal cells growing in nests or cords and separated by parallel lamellae of dense collagen bundles"- Robbins 9th/872-73, 8th/879